The drug efavirenz inhibits?
1. HIV 1 Protease
2. HIV 1 reverse transcriptase
3. HIV1 Integrase
4. HIV entry into cell

Correct answer: 2. HIV 1 reverse transcriptase

Explanation: Ans is 'b' i.e. HIV1 reverse transcriptase Efavirenz is a non-nucleoside reverse transcriptase inhibitor.